Chronological order of lochia is -
1. Rubra, serosa ,alba
2. Alba , rubra, serosa
3. Serosa, alba, rubra
4. Rubra, alba, seosa

Correct answer: 1. Rubra, serosa ,alba

Explanation: Ans. is 'a' i.e., Rubra, serosa, alba NameColorTiming (days)Contents1. Lochia rubraRed1-4Blood, decidua, fetal membranes, vernix, lanugo, and meconium2. Lochia serosaYellowish, pink, and brownish5-9Leucocytes, cervical mucus, and organisms3. Lochial albaPale white10-15Decidua, cells, leucocytes, mucin, cholesterin crystals, and fat cells